A trained dai caters for a population of -
1. 1000
2. 2000
3. 3000
4. 4000

Correct answer: 1. 1000

Explanation: Ans. is 'a' i.e., 1000 Local dais (Traditional birth attendants)o Under Rural Health Scheme, all categories of local dies are trained to improve their knowledge in the elementary concepts of: -o MCHii) Sterilization (Small family norm)Trainingo Training is for 30 working days.o They are paid a stipend of Rs. 300 during training period.o Training is given for 2 days in a week at PHC, subcentre or MHC centre.o On the remaining four days of the week they accompany the health worker female.o During her training period each dai is required to conduct at least 2 deliveries under the supervision of health worker,o The national target is to train one local dai in each village.Note : One village is equivalent to 1000 rural population.